True statement regarding hypertrophic scar:
1. Usually occurs across the flexural areas
2. Does not improve with time
3. Overgrows its boundaries
4. Develops months after surgery

Correct answer: 1. Usually occurs across the flexural areas

Explanation: Feature Hypertrophic Scar Keloid Genetic Not Familial May be familial Race Not race related Black > white Sex Female = male Female > male Age Children 10-30 years Border Remains within wound Outgrows wound area Natural history Subsides with time Rarely subsides Site Flexor surfaces Stemum (MC ), shoulder, face Etiology Related to tension Unknown Develop Within 4 weeks 3 Months to years after trauma Symptoms Raised some pruntus Respect wound confines Pain, pruritus, hyperesthesia Growth beyond wound margins Histology Parallel orientation of collagen fibers Thick wavy collagen fibers in random orientation